Plaque differs from materia alba in
1. Presence of bacteria
2. Presence of glycoprotein
3. Presence of saliva
4. Absence of glycoprotein

Correct answer: 2. Presence of glycoprotein